Abdomino-perineal resection is done in colorectal Ca on the basis of -
1. Age of patient
2. Distance from anal-verge
3. Fixity of tumor
4. Hepatic metastasis

Correct answer: 2. Distance from anal-verge